After taking some drug for acute attack of migraine a patient develop nausea and vomiting he also develop tingling and numbness in the tip of the finger that also turn blue. which of the following is most likely drug implicated in the cause the above finding
1. Dihydroergotamine
2. Sumatriptan
3. Aspirin
4. Butarphanol

Correct answer: 1. Dihydroergotamine

Explanation: This is a classical sign of ergot induced vasoconstriction dihydroergotamine can be used for acute attack of migraine and can result in such symptoms. due to their vasoconstriction potential Ergot alkaloids are contraindicated in a patient with peripheral vascular disease this may lead to development of gangrene. Refer katzung 11/e p289